All are parts of vulva except-
1. Labia minora
2. Labia majora
3. Perineal body
4. Clitoris

Correct answer: 3. Perineal body

Explanation: Structures included in the vulva
-        Labia majora, labia minora, mons pubis, clitoris, a bulb of the vestibule, vestibular glands, vaginal opening, hymen, urethral opening, Bartholin's gland, and periurethral skene’s gland.